Peracetic acid comes under which class of sterilizing agent or disinfectant
1. Surface active agent
2. Vapor phase disinfectant
3. Oxidizing agent
4. Halogen

Correct answer: 3. Oxidizing agent

Explanation: Peracetic acid--oxidizing agent effective in presence of organic matter End product is acetic acid and oxygen Used in plasma sterilization procedure Ref: CP Baveja 4th ed Pg:36